Positive indicator of health -
1. IMR
2. Child mortality rate
3. MMR
4. Life expectancy

Correct answer: 4. Life expectancy

Explanation: Ans. is 'd' i.e., Life expectancy Mortality indicatorso These arei) Crude death rateii) Expectation of life (life expectancy)iii) Infant mortality' rateiv) Child mortality ratev) Under-5 proportional mortalitv ratevi) Maternal mortality ratevii) Disease specific mortality' rateviii) Age specific death rateix) Adult mortality ratex) Years of potential life losto Among these only life expectancy is a positive mortality indicator, i.e. increase life expectancy means improvement in health.o All other are 'negative' health indicators, i.e. increase value of these indicators implies poor health of community.